Which of the following can be used for obtaining specimen for isolation of microorganism in laboratory diagnosis:
1. Meningococcal rash
2. Blood in staphylococcal food poisoning
3. Throat swab in Rheumatic fever
4. Blood in post-streptococcal GN

Correct answer: 1. Meningococcal rash

Explanation: Ans. is. a' i.e. Meningococcal rash